Feature of human hair are all EXCEPT:
1. Cuticular scales are short and flattened
2. Medulla is continuous and wide.
3. Cortex is thick and medulla is one third of shaft diameter
4. Pigment in medulla is light and broken.

Correct answer: 2. Medulla is continuous and wide.

Explanation: Differences b/w Human and Animal hair- Trait Human hair Animal hair General Fine & thin Coarse & thick Cuticle Scales short, broad, flattened/ thin. Scales large, wavy projections/step-like projections. Cortex Thick, 4-10 times as broad as medulla. Thin, rarely more than twice as broad as medulla Medulla Varies, narrow, continuous, fragmented or Absent. Medullary index <1/3 Continuous, wider. Medullary index > 1 / 2 Pigment Evently distributed. Present near the medullar. Precipitin test Specific for human Specific for animal.